Pulse pressure is:
1. 1/3 diastolic + 1/2 systolic B.P.
2. 1/2 diastolic + 1/3 systolic B.P.
3. Systolic - diastolic B.P.
4. Diastolic + 1/2 systolic B.P.

Correct answer: 3. Systolic - diastolic B.P.

Explanation: Answer is C (Systolic -- Diastolic B.P) Pulse pressure is the difference between the systolic pressure and the diastolic pressure.